Contraindications of ergometrine is -
1. Diabetes mellitus
2. Excessive post-partum hemorrhage
3. Heart disease
4. Anaemia

Correct answer: 3. Heart disease